Referred ear pain may travel through all except
1. Trigeminal nerve
2. Glossopharyngeal nerve
3. Abducens nerve
4. Vagus nerve

Correct answer: 3. Abducens nerve

Explanation: Referred pain travels trigeminal nerve, glossopharyngeal nerve and vagus nerve Ref: PL DHINGRA diseases of ear nose and throat,6th edition, page no 128